All of the following are poor prognostic factors of vitiligo except:
1. Long standing skin lesion
2. Underlying thyroid disease
3. Vitiligo on bony prominence
4. Black hair

Correct answer: 4. Black hair

Explanation: Black hair follicle has melanocyte precursors which is a good prognostic sign.
White hair or leucotrichia is a poor prognostic sign.